Hypoglycemic unawareness that occurs in diabetic patients when transfered from oral hypoglycemics to insulin, is due to-
1. Autonomic neuropathy
2. Insulin resistance
3. Lipodystrophy
4. Somogi phenomenon

Correct answer: 1. Autonomic neuropathy

Explanation: Hypoglycemia unawareness-- loss of the warning adrenergic and cholinergic symptoms that previously allowed the patient to recognize developing hypoglycemia and therefore to abort the episode by ingesting carbohydrates. Autonomic neuropathy may reduce counter-regulatory hormone release (especially catecholamines), leading to an inability to sense hypoglycemia appropriately (hypoglycemia unawareness, thereby subjecting the patient to the risk of severe hypoglycemia and complicating efforts to improve glycemic control. Reference : page 2426 Harrison's Principles of Internal Medicine 19th edition